Which of the following anesthetic agent can cause adrenocortical suppression?
1. Halothane
2. Ketamine
3. Etomidate
4. Propofol

Correct answer: 3. Etomidate

Explanation: Etomidate inhibits 11beta - hydroxylase enzyme  & prevents corticosteroid synthesis.